A 6 week infant with ambiguous genitalia (as shown below) presents with an episode of dehydration & shock requiring hospitalization. What is the electrolyte abnormality that you expect in this baby?
1. Hypokalemia
2. Hyperkalemia
3. Hypocalcemia
4. Hypercalcemia

Correct answer: 2. Hyperkalemia

Explanation: Ambiguous genitalia in an infant with dehydration & shock, suggests the diagnosis of CAH due to 21 hydroxylase deficiency; There is aldosterone and cortisol deficiency leading to hypotension, hypoglycaemia, hyponatremia and hyperkalemia.